Blashcko lines represent -
1. Invisible lines along which certain skin diseases develop
2. Lines along which villi of intestines are arranged
3. Arrangement of blood vessels in retina on fundoscopy
4. Lines along which migration of RBCs occur

Correct answer: 1. Invisible lines along which certain skin diseases develop

Explanation: Ans. is 'a' i.e., Invisible lines along which certain skin diseases develop Blaschko's lines* Blaschko's lines, also called the lines of Blaschko, named after Alfred Blaschko, are lines of normal cell development in the skin.* These lines are invisible under normal conditions.* They become apparent when some diseases of the skin or mucosa manifest themselves according to these patterns.* They follow a "V" shape over the back, "S" shaped whirls over the chest, and sides, and wavy shapes on the head.